Most common cause of otomycosis -
1. Candida
2. Aspergillus
3. Histoplasma
4. Cryptococcus

Correct answer: 2. Aspergillus

Explanation: Ans. is 'b' i.e., Aspergillus Otomycosiso Otomycosis, also called acute fungal otitis externa, describes a fungal or yeast infection of the external auditory meatus.o Saprophytic fungi potentially residing in the ear canal include Aspergillus, Candida albicans, Phycomycetes, Rhizopus, Actinomyces, and Penicillium.o Under certain conditions of increased heat, humidity, glucose concentration (diabetes), immunosuppression, or overuse of systemic or topical antibiotics and steroids, these saprophytic fungi can become pathogenic,o Aspergillus niger accounts for 90% of otomycosis infections.o Othercommon organisms are Candida albicans (2nd most common) and Aspergillus fumigatus.o Less common organisms are Phycomycetes, Rhizopus, Actinomyces and Penicillium.